X-ray of tibia shows a growth on the bone. Biopsy shows the tumor is benign in nature. Which is the commonest true benign bone tumour?
1. Bony cyst
2. Chondroma
3. Chordoma
4. Osteoid osteoma

Correct answer: 4. Osteoid osteoma

Explanation: Osteoid osteoma is the commonest true benign tumour of the bone. The bones of the lower extremity are more commonly affected; the tibia being the commonest. Must know: The tumor is seen commonly between the ages of 5-25 years. The tumor is generally located in the diaphysis of the long bones. The presenting complaint is a nagging pain, worst at night, and is relieved by salicylates. Treatment includes complete excision of the nidus along with the sclerotic bone is done. It is not premalignant condition. Ref: Essential Orthopedics by Maheshwari, 3rd edition, Page 215.